Sustained severe hypertension in children is most commonly suggestive of:
1. Coarctation of aorta
2. Pheochromocytoma
3. Renal paranchymatous disease
4. Drug induced

Correct answer: 3. Renal paranchymatous disease

Explanation: Answer is C (Renal Parenchymatous disease) Sustained severe hypertension in children is most commonly caused by Renal parenchymatous disease.